Salt losing nephritis is a feature of:
1. Interstitial nephritis
2. Polycystic kidney
3. Lupus nephritis
4. Renal amyloidosis

Correct answer: 1. Interstitial nephritis

Explanation: Ans. is 'a' interstitial nephritis One of the important functional consequence of interstitial nephritis is salt wasting.Interstitial nephritis is caused by drugs such as methicillin* or penicillin*It is a type of tubulointerstitial disease in which there is tubular degeneration and necrosis and marked inflammation of interstitium.